Which of the following viruses appears to be involved in the pathogenesis of Kaposi's sarcoma
1. Human Herpes Virus 3
2. Human Herpes Virus 1
3. Human Herpes Virus 8
4. Human Herpes Virus 4

Correct answer: 3. Human Herpes Virus 8